The incidence of mental illness is the maximum if the causal factors affect a particular period -
1. Perinatal period
2. First five years of life
3. School age
4. Adolescence

Correct answer: 2. First five years of life

Explanation: The incidence of mental illness is the maximum if the causal factors affect a particular period of first five years of life crucial points in the life cycle of human being which are important from the view of mental health are prenatal period, first five years of life, school child , adolescence, old age. ref ;(page no;832)23rd edition of PARK's textbook of Preventive and Social medicine